Highest content of lactose is seen in
1. Buffalo milk
2. Human milk
3. Goat milk
4. Coco milk

Correct answer: 2. Human milk

Explanation: Lactose content of milk : Human > Buffalo > Goat > Coco
Protein content of milk : Buffalo > Goat > Coco > Human